All are features of emergence delirium with ketamine anesthesia except:-
1. Visual illusions
2. Cortical blindness
3. No hallucination
4. Auditory, proprioceptive and confusional illusions

Correct answer: 3. No hallucination

Explanation: Despite its reputation as a hallucinogen, sub-anesthetic ketamine does not consistently produce frank hallucinations. 5 - 30 % patients receiving intravenous ketamine has incidence of postoperative delirium and hallucination associated with it. prevention and treatment - intravenous midazolam